Amikacin (Amikin) is given to a client with E-coli infection. The nurse advises the client to report which of the following symptoms immediately?
1. Muscle pain.
2. Constipation.
3. Fatigue.
4. Hearing loss

Correct answer: 4. Hearing loss

Explanation: Amikacin is an aminoglycoside. Side effects of this medication includes ototoxicity (Hearing loss), confusion, disorientation, gastrointestinal irritation, palpitations, blood pressure changes and nephrotoxicity.

Options A, B, and C are not related with the medication.